All are true about temporal arteritis except -
1. Can leads to sudden bilateral blindness
2. More corrunon in females
3. Worsen on exposure to heat
4. Mostly affects elderly

Correct answer: 3. Worsen on exposure to heat